Prolonged treatment with INH leads to a deficiency of?
1. Pyridoxine
2. Thiamine
3. Pantothenic acid
4. Niacin

Correct answer: 1. Pyridoxine

Explanation: Isoniazid can cause peripheral neuropathy due to deficiency of pyridoxine.